Which of the following statements about pediatric airway is true?
1. More caudal position of Larynx as compared to adult
2. More acute angulation of epiglottis
3. Glottic opening is narrowest part of airway
4. Longer trachea as compared to adults

Correct answer: 2. More acute angulation of epiglottis

Explanation: Infants epiglottis is typically narrower, omega-shaped and angled away from axis of trachea.